Which disease comes under international surveiliance-
1. Typhoid fever
2. Salmonellosis
3. Chikungunya fever
4. HepatitisB

Correct answer: 2. Salmonellosis

Explanation: Ans. is 'b' i.e.. Salmonellosis Diseases under international surveillance (WHO)o Rabieso Poliomyelitiso Salmonellosiso Louse bom typhus fevero Malariao Relapsing fevero Human influenza